Prominent stimulus for release of secretin is :
1. Acidity of chyme
2. Distention of duodenum
3. Composition of food
4. None

Correct answer: 1. Acidity of chyme

Explanation: A i.e. Acidity of chime